Which of the following is not seen after moderate injury/ severe injury or major surgery?
1. Negative nitrogen balance
2. Tachypnoea
3. Hyper metabolism
4. Hyperphagia

Correct answer: 4. Hyperphagia